The amino acid which is associated with atherosclerosis is :
1. Lysine
2. Homocysteine
3. Cysteine
4. Alanine

Correct answer: 2. Homocysteine

Explanation: Answer is B (Homocysteine) There is a strong positive correlation between atherosclerosis and circulating levels of Homocysteine'' Hyperhomocysteinemia has been most consistently linked with atherosclerosis and coronary thrombotic events "Patient with clinical and angiographic evidence of coronary artery disease tend to have higher levels of plasma homocysteine. The relationship has not been extended to cerebrovascular and peripheral vascular disease"- CMDT "A large body of literature suggests a relationship between hyperhomocysteinemia and coronary events. Several mutations in the enzymes involved in homocysteine accumulation correlate to thrombosis and (in some studies) coronary risk" An increase of 5 micromol / L of homocysteine in serum elevates the risk of coronary artery disease by as much as cholesterol increase of 20 mg /dl. Homocysteine interacts with lysyl residues of collagen interfering with collagen cross linking. It forms homocysteine thiolactone, a highly reactive free radical which thiolates LDL particles. These particles tend to aggregate, are endocytosed by macrophages and increase the tendency for atherogenesis. Providing adequate quantity of pyridoxine, vitamin B12 and folic acid will keep homocysteine in blood in normal levels. Maternal hyperhomocysteinemia is known to increase the chances of neural tube defects in foetus. So, high doses of folic acid are advised in pregnancy.